Gray hepatization of lungs is seen on day ?
1. 1
2. 3-Feb
3. 5-Mar
4. 7-May

Correct answer: 4. 7-May

Explanation: Ans. is 'd' i.e., 5-7 All 4 phases may be seen in different parts of the same lung (1) Congestion (1-2 days) (2) Red hepatization (2"d-4'h day) (3) Gray hepatization (5'h-8'h day) (4) Resolution (8th-9th day)